All of the following are true for patients of UC associated with primary sclerosing cholangitis except
1. They may develop biliary cirrhosis
2. May have raised alkaline phosphatase
3. Increased risk of hilar cholangiocarcinoma
4. PSC reverts after a total Colectomy

Correct answer: 4. PSC reverts after a total Colectomy

Explanation: Patients with PSC and UC typically have a more quiescent disease course The risk for colon cancer in these patients is up to five times greater than in patients with ulcerative colitis alone. These tumors are more likely to arise proximal to the splenic flexure PSC is progressive and ultimately fatal unless liver transplantation is undertaken. Colectomy has no effect on the course of PSC Ref: Sabiston 20th edition Pgno :1508-1509